"Schaumann bodies" are seen in?
1. Sarcoidosis
2. Chronic bronchitis
3. Asthma
4. Syphilis

Correct answer: 1. Sarcoidosis

Explanation: Ans. A. Sarcoidosis. (Ref, Robbin's 8th/pg. 738)Robbins pathology 8th/pg.738 .................Although characteristic, asteroid and Schaumann bodies are not pathognomonic of sarcoidosis because may be encountered in other granulomatous diseases (e.g., tuberculosis). Pathologic involvement of virtually every organ in the body has been cited at one time or another."Sarcoidosis is a systemic disease of unknown cause cha by noncaseating granulomas in many tissues and organs.Association with certain HLA genotypes (e.g., class I HLA-A1 and HLA-B8).No unequivocal evidence to suggest that sarcoidosis is caused by an infectious agent"Morphology - Sarcoidosis# Histologically, all involved tissues show the classic noncaseating granulomas, each composed of an aggregate of tightly clustered epithelioid cells, often with Langhans or foreign body type giant cells. Central necrosis is unusual. With chronicity, the granulomas may become enclosed within fibrous rims or may eventually be replaced by hyaline fibrous scars.# Two other microscopic features are often present in the granulomas:- laminated concretions composed of calcium and proteins known as Schaumann bodies and- stellate inclusions known as asteroid bodies enclosed within giant cells found in approximately 60% of the granulomas,# A CD4/CD8 ratio >2.5 and the CD3/CD4 ratio <0.31 in bronchoalveolar lavage lymphocytes is commonly seen in sarcoidosis.